Which of the following statement is true about the mesenteric line?
1. Seen in children who are immune to caries
2. Brown stains at cervical 3rd
3. Both 1 and 2
4. None

Correct answer: 3. Both 1 and 2